Which of the following drug is an antihormonal substance used to induce ovulation?
1. Raloxifen
2. Tamoxifen
3. Mefiprestone
4. Clomiphene citrate

Correct answer: 4. Clomiphene citrate

Explanation: Clomiphene citrate is a nonsteroidal estrogen antagonist that increases FSH and LH levels by blocking estrogen negative feedback at the hypothalamus. Clomiphene citrate is approved by the FDA, as an ovulation-inducing drug. It is given orally in dosages of 50 to 100 mg/d for 5 days on a monthly basis to induce ovulation in infertile women. Ref: Textbook of gynecology by D C Dutta 4th Edition, Page 486-7.